The hepatic sinusoids that can be observed histologically in an adult liver are derived from the
1. Supracardinal veins
2. Anterior cardinal veins
3. Posterior cardinal veins
4. Vitelline veins

Correct answer: 4. Vitelline veins

Explanation: Because of the location of the vitelline veins and the tremendous growth of the developing liver (hepatic diverticulum), the vitelline veins are surrounded by the liver and give rise to the hepatic sinusoids. The umbilical veins also contribute to the hepatic sinusoidal network